Stroboscopy is used to assess:
1. Speech
2. Hearing
3. Olfaction
4. None of the above

Correct answer: 1. Speech

Explanation: Videostroboscopy is an important tool in monitoring rehabilitation and providing feedback during speech therapy. It is also useful in the diagnosis of lesions such as intracordal cysts and in differentiating these lesions from vocal cord nodules.Stroboscopic examination allows visualization of the mucosal wave occurring at the medial edge of the vocal fold, the appearance being one of a 'slow motion' film. This appearance is created by the flickering stroboscopic light illuminating consecutive mucosal waves at a similar point in the wave form.